Kussmauls sign is seen in all except -
1. Constrictive pericarditis
2. Right vertricular infarct
3. Restictive cardiomyopathy
4. Cardiac tamponade

Correct answer: 4. Cardiac tamponade